Mineralocorticoid receptors are present in all of thefollowing sites, Except:
1. Hippocampus
2. Kidney
3. Colon
4. Liver

Correct answer: 4. Liver

Explanation: Liver Mineralcorticoid receptors are expressed at high levels in renal distal tubules and cortical collectiong ducts and in other mineralocorticoid target tissues such as salivary glands and the colon. It is also found in multiple sites in the brain (hippocampus), myocardium, peripheral vasculature, brown adipose tissue and sweat glands. Mineralcorticoid receptors are located mainly in the cytoplasm.